STEPS is the WHO recommended tool for -
1. Surveillance of non-communicable disease and their risk factors
2. Surveillance of communicable diseases and their risk factors
3. Surveillance of socio-economic status of the community
4. Changes of trends of mortality in non-communicable diseases

Correct answer: 1. Surveillance of non-communicable disease and their risk factors

Explanation: Park's textbook of preventive and social medicine 23rd edition The STEPS - the non communicable disease risk factors survey to help countries establish CMS surveillance system. It describes 3 steps: questionnaire, physical measurements and biochemical measurements. .